The optimal time and temperature required for sterilization in an autoclave is
1. 140°C x 2 hrs. x 10 lbs pr
2. 121°F x 15 mts. x 15 lbs pr
3. 121°C x 15 sec. x 15 lbs pr
4. 121°C x 15 mts. x 15 lbs pr

Correct answer: 4. 121°C x 15 mts. x 15 lbs pr